the sequence of vascular changes seen in inflammation:
1. Vasodilatation -> Stasis -> Transient vasoconstriction --> Increased permeability
2. Transient vasoconstriction -> Stasis -> Vasodilatation -> Increased permeability
3. Transient vasoconstriction -> Vasodilatation --> Stasis --> Increased permeability
4. Transient vasoconstriction -> Vasodilatation -> Increased permeability -> Stasis

Correct answer: 4. Transient vasoconstriction -> Vasodilatation -> Increased permeability -> Stasis

Explanation: Vasoconstriction: It is the firstQ change in the blood vessels which is transient in nature. Vasodilation: Second change in the blood vessels lasting for a longer duration is vasodilation- It results in increased blood flow leading to redness (rubor) and the sensation of warmth (color). Increased permeability: It is the hallmark of acute inflammation The exudate is a protein-rich fluid which is responsible for the swelling (tumor) associated with an injury The loss of fluid results in concentration of red cells in small vessels and increased viscosity of the blood leading to slower blood flow and is called stasis ref robbins 9th ed page 73